ADAMS 13 mutation is responsible for:
1. TTP
2. HUS
3. DIC
4. ITP

Correct answer: 1. TTP

Explanation: The pathogenesis of inherited or idiopathic TTP is related to the deficiency or antibodies to the metalloprotease ADAMTS13 that cleaves the vWF. Ref: Harrison, Edition-18, Page - 965